One of the intestinal enzymes that is generally deficient in children following an attack of severe infectious enteritis is -
1. Lactase
2. Trypsin
3. Lipase
4. Amylase

Correct answer: 1. Lactase

Explanation: Ans. is 'a' i.e., Lactase `Because Lactase activity in the mucosa is at best marginal, this enzyme is particularly likely to be depleted secondary to diffuse mucosal disease' - Nelson Causes of Acquired Lactase deficiency 1. Acute Infective enteritis 2. Cystic fibrosis 4. Cow's milk protein intolerance 3. Protein energy malnutrition 5. Prolonged use of drugs like Neomycin. Viral gastroenteritis Bacterial gastroenteritis